In children MC type of polyp is -
1. Juvenile polyp
2. Solitary polyp
3. Familial polyposis
4. Multiple adenomatous polyp

Correct answer: 1. Juvenile polyp

Explanation: Answer 'a' i.e. Juvenile polyp